A distinguishing characteristic of a maxillary first premolar that identifies it as right or left is the:
1. Height of the lingual cusp
2. Mesial inclination of the lingual cusp
3. Flattened area beneath the contact on the distal surface
4. Greater length of the mesial cusp ridge on the Lingual cusp

Correct answer: 2. Mesial inclination of the lingual cusp